All of the following form posterior relations of head of pancreas, except
1. Common Bile Duct
2. First part of duodenum
3. Aorta
4. Inferior Vena cava

Correct answer: 2. First part of duodenum

Explanation: First part of duodenum forms the anterior relation of head of pancreas while all others form the posterior relations. Anterior relations of head of pancreas include first part of duodenum, transverse colon, jejunum . Posterior relations include inferior vena cava, terminal parts of renal veins, right crus of diaphragm and bile duct. ref - BDC 6e vol2 pg300